All of the following drugs are bactericidal except
1. Isoniazid
2. Tigecycline
3. Daptomycin
4. Ciprofloxacin

Correct answer: 2. Tigecycline

Explanation: Tigecycline is a newer drug in the class 'Glycylcyclines.' Its mechanism of action and most properties are similar to tetracyclines. However, it is resistant to efflux pump (major mechanism of resistance against tetracyclines). Most protein synthesis inhibiting drugs (including tetracyclines and tigecycline) are bacteriostatic except aminoglycosides. Isoniazid, ciprofloxacin and daptomycin are bactericidal.